Which is the most common cause of hypothyroidism
1. Multinodular goiter
2. Lymphoma of thyroid
3. Autoimmune thyroiditis
4. Riedel's thyroiditis

Correct answer: 3. Autoimmune thyroiditis